What is the term given to the relationship of the fetus to the long axis of the uterus?
1. The Presentation
2. The Lie
3. The Engagement
4. The Version

Correct answer: 2. The Lie

Explanation: Ans. B. The Lie'Fetal lie' is referred as the relation between fetal long axis and the mother. This can either be transverse or longitudinal.In some cases, the maternal and fetal axes may cross at a 45-degree angle, resulting in the formation of an oblique lie This is not stable and always becomes either transverse or longitudinal at the time of labor.Longitudinal lie is present in more than 99 percent of labor.Following list are the predisposing factors for transverse lies:* Hydramnios* Uterine Anomalies* Multiparity* Placenta PreviaThe part of the fetal body that is either foremost within the birth canal or in closest proximity to it is mainly the presenting portion.The mechanism by which the biparietal diameter passes through the pelvic inlet is designated engagement.Know more: Biparietal diameter is the greatest transverse diameter in an occiput presentation.